Which of the following about phenytoin is true ?
1. It follows zero order kinetics
2. Not an hepatic enzyme inducer
3. It is excreted unchanged in urine
4. It is not teratogenic

Correct answer: 1. It follows zero order kinetics

Explanation: Ans. is 'a' i.e., It follows zero order kinetics Phenytoin is metabolized in liver by hydroxylation and glucuranide conjugation (option 'c' is incorrect) o This drug follows saturation kinetics (kinetics changes from first order to zero order within therapeutic concentrations) Phenytoin is an enzyme inducer and induces the metabolism of many drugs. Phenytoin is a known teratogenic and produces fetal hydantoin syndrome.